The true statement is -
1. Osteoblasts gives rise to osteocytes
2. Growth of bone occurs at diaphysis
3. Epiphysis is present between metaphysis and diaphysis
4. Interphalangeal joint is a saddle joint.

Correct answer: 1. Osteoblasts gives rise to osteocytes

Explanation: Approximately 10% of osteoblasts become enclosed in the developing matrix and are then called as osteocytes.
The growth of bone occurs at the epiphyseal end.
The epiphysis is one end of bone and metaphysis is present between epiphysis and diaphysis.
The interphalangeal joint is a Hinge joint.